The following parasitic infections predispose to malignancies -a) Paragonimus westermaniib) Guinea worm infectionc)  Clonorchiasisd)  Schistosomiasis
1. ab
2. cd
3. bd
4. ac

Correct answer: 2. cd

Explanation: The following two parasites have definitive etiological association with malignancies:
• Clonorchis sinensis: cholangiocarcinoma
• Opisthorchis viverrini: cholangiocarcinoma
• Schistosoma haematobium : squamous cell cancer of urinary bladder
• Schistosoma japonicum: colorectal cancer